The most common site of origin of ameloblastoma is:
1. Mandible near molar tooth
2. Middle alveolar margins
3. Hard palate
4. Mandible near symphisis menti.

Correct answer: 1. Mandible near molar tooth

Explanation: Ans. is 'a' i.e. Mandible near molar tooth (Ref. S. Das short cases of Sx, p 115; S. Das a concise textbook of 3/e, p567] Ameloblastoma occurs most often in the mandible in the area of the molars. It is an epithelial tumor* arising from ameloblast (enamel-forming cells)*. Pathologically it behaves like a basal cell carcinoma i.e., it is a malignant tumor which is locally invasive but does not metastasize*. It causes expansion mostly of the outer table* so the swelling is more evident from outside than from inside of mouth*. Cystic degeneration leads to the area of softening and egg - shell crackling on palpation. x-ray: Honeycomb appearance* t/t: Since it is a locally malignant tumor, a simple enucleation and curettage will invariably lead to recurrences. Radiotherapy is ineffective. Therefore resection of the tumor along with a margin of healthy bone* is essential permanent cure. If the tumor is very large affecting the major part of the mandible, hemi mandibulectomy* may be necessary. Other Sites Of Ameloblastoma: In the stalk of pituitary* where it is known as a suprasellar tumor In the tibia*